All except one among burns patients are referred to burns center
1. Burns involving genitalia
2. Third degree burns in any age group
3. Partial thickness burns  >10% body surface area
4. Burns injury not complicated by pre - existing disease

Correct answer: 4. Burns injury not complicated by pre - existing disease

Explanation: Burns injury in patients with complicated pre - existing medical disease are referred to burns center.